Endometrial biopsy for infertility is taken on .....day :
1. 5 to 7
2. 12 to 4
3. 23 to 26
4. 9 to 11

Correct answer: 3. 23 to 26

Explanation: 23 to 26